Uveo-parotitis is seen in
1. Mumps
2. Measles
3. Sarcoidosis
4. Cystic fibrosis

Correct answer: 3. Sarcoidosis

Explanation: C. i.e. (Sarcoidosis) (738 - Basic pathology 8th)SARCOIDOSIS* The eye its associated glands, and the salivaiy glands are involved in about one fifth to one half of the cases* Bilateral sarcoidosis of the parotid, submaxillary and sublingual glands completes the combined Uveoparotid involvement designated as Mikulicz syndrome (236 - Basic pathology 8th- Robbins)* Sarcoidosis, leukemia, lymphoma and other tumour likewise produce Mikulicz syndrome. Thus biopsy of 1the lip (to examine minor salivary glands) is essential for the diagnosis of Sjogren syndrome.* **Band keratopathy is seen in sarcoidosis* **Egg shell pattern of lymph node calcification is characteristic seen in - Sarcoidosis